Postmortem finding in CO poisoning is:
1. Cherry red hypostasis
2. Intense cyanosis
3. Excessive salivation
4. Pin-point pupil

Correct answer: 1. Cherry red hypostasis

Explanation: Ans. Cherry red hypostasis